A 25 year old male was hospitalized with liver cyst due to Echinococcus granulosis.he refused to undergo surgery for removal of cyst.therefore, albendazole was used at high dose for 3months .this patient should be monitored for the toxicity to
1. Gonalds
2. Kidney
3. Liver
4. Peripheral nerves

Correct answer: 3. Liver

Explanation: Ref-Katzung 10/869 Albendazole is used furlong X at high dose can lead to hepatotoxicity